Mechanical advantage provided by lever action of malleus
1. 2:01
2. 1.3 : 1
3. 1.8 : 1
4. 1:01

Correct answer: 2. 1.3 : 1

Explanation: The handle of the malleus is 1.3 times longer than the long process of the incus, providing a mechanical advantage of 1.3. (Ref: Diseases of EAR, NOSE and THROAT by PL Dhingra 6th edition; page no.14)